Non depolarizing neuromuscular blocker is
1. Non competitive neuromuscular blocker
2. Reversed by neostigmine
3. Persistent stimulator of nicotinic cholinergic receptors
4. Induces fasciculations

Correct answer: 2. Reversed by neostigmine

Explanation: Non depolarising neuromuscular blocker is competitive antagonist at nicotinic cholinergic receptor. It doesn’t cause fasciculations . it is reversed by neostigmine.